LH is secreted by
1. Ovary
2. Pituitary
3. Corpus luteum
4. Hypothalamus

Correct answer: 2. Pituitary

Explanation: Luteinizing hormone (LH, also known as lutropin and sometimes lutrophin is a hormone produced by gonadotropic cells in the anterior pituitary gland. In females, an acute rise of LH ("LH surge") triggers ovulation and development of the corpus luteum. In males, where LH had also been called interstitial cell-stimulating hormone (ICSH), it stimulates Leydig cell production of testosterone. It acts synergistically with FSH.Ref: Ganong's review of medical physiology; 24th edition; page no:-304